Agent used for eliciting diagnostic differentiation of Myasthenia Gravis from Cholinergic crisis is:-
1. Ecothiophate
2. Edrophonium
3. Neostigmine
4. Ambenonium

Correct answer: 2. Edrophonium

Explanation: myasthenia gravis - we do edrophonium test - we notice improvement because edrophonium inhibits the breakdown of acetylcholine leading to increase in response of muscles